MHC class l are present on all except
1. Platelet
2. All nucleated cells
3. RBC
4. WBC

Correct answer: 3. RBC

Explanation: Ref Robbins 8/e p190;9/e p194 class I MHC molecules are present on all nucleated cells, all virus-infected cells can be detected and eliminated by CD8+ CTLs. Hence not present on RBC because they are not nucleated